Which of the following is not carried in dorsal column of spinal cord:
1. Proprioception
2. Vibratory sense
3. Heat sensation
4. Touch

Correct answer: 3. Heat sensation

Explanation: Ans. C: Heat sensationLateral spinothalamic tract carries fibers of all type of pain and temperature impulses (both hot and cold)Spinothalamic tractIt transmits information to the thalamus about pain, temperature, itch and crude touch.The pathway decussates at the level of the spinal cord, rather than in the brainstem like the posterior column-medial lemniscus pathway and corticospinal tract.Posterior column-medial lemniscus pathway/dorsal column-medial lemniscus pathway/dorsal white column-medial lemniscus systemIt is the sensory pathway responsible for transmitting fine touch, vibration and conscious proprioceptive information from the body to the cerebral cortex as well as tactile pressure, barognosis, graphesthesia, stereognosis, recognition of texture, kinesthesia and two-point discrimination.The name comes from the two structures that the sensation travels up: the posterior (or dorsal) columns of the spinal cord, and the medial lemniscus in the brainstem.Because the posterior columns are also called dorsal columns, the pathway is often called the dorsal column-medial lemniscus system, or DCML for short. (Also called posterior column-medial lemniscus or PCML pathway).The PCML is pathway is composed of rapidly conducting, large, myelinated fibersThe pathway is tested with the Romberg's test.Lesions to the posterior column-medial lemniscus pathway below the decussation of its fibers produce loss of sensation on the same side of the body as the lesion.Above the decussation produces loss of sensation on the opposite side of the body than the lesion